Surgeon excises a portion of the liver to the left of the attachment of the falciform ligament. The segments that have been resected are
1. Segment 1a and 4
2. Segment 1 and 4b
3. Segment 2 and 3
4. Segment 1 and 3

Correct answer: 3. Segment 2 and 3

Explanation: Segments II and IIIare to the left of the left hepatic vein and falciform ligament with II superior and III inferior to the portal plane. segment I is the caudate lobe situated posteriorly around the IVC, segment IV includes the quadrate lobe. segment IV lies between the left and middle hepatic veins; it is subdivided into IVa(superior) and IVb (inferior) sub-segments easy tip: IVa is above and IVb is below the portal plane.